Nasopharyngeal tumor causes:
1. Horner's syndrome.
2. Trotter's syndrome.
3. Eagles syndrome.
4. Frey's syndrome.

Correct answer: 2. Trotter's syndrome.

Explanation: Trotter's syndrome is caused by "nasopharyngeal tumour" and the patient will have symptoms like pain in lower jaw, tongue, and side of head with an associated middle ear deafness; The patients also exhibit asymmetry and defective mobility of soft palate. As the tumor progresses, trismus of internal pterygoid muscle may develop. The cause of pain is due to involvement of mandibular nerve in foramen ovale through which tumour invades the calvarium.